Antidote for heparin is:
1. Protamine
2. EDTA
3. Vitamin K
4. Desferrioxamine

Correct answer: 1. Protamine

Explanation: aRef: KDT, 5th ed, p. 564, 568 & 4th ed, p. 608, 874- 875